In fanconi anemia, there is a
1. Deficiency of copper
2. Mutation of DNA repair gene
3. No increased risk of squamous cell carcinoma
4. Purely nutritional disorder etiology

Correct answer: 2. Mutation of DNA repair gene